Which is not ketogenic
1. Leucine
2. Lysine
3. Methionine
4. Tryptophan

Correct answer: 3. Methionine

Explanation: Ans. is 'c >d' i.e., Methionine > TryptophanLeucine and lysine are purely ketogenic.Trypotophan is not purely ketogenic, but it is ketogenic along with glucogenic. Methionine is purely glucogenic.